Enzyme responsible for respiratory burst is:
1. Oxidase
2. Dehydrogenase
3. Peroxidase
4. Catalase

Correct answer: 1. Oxidase

Explanation: Oxidase